Apparent volume of distribution (aVd) is more than total body fluid if drug is:
1. Poorly soluble
2. Sequestered in tissues
3. Slow elimination
4. Poorly plasma protein bound

Correct answer: 2. Sequestered in tissues